Which stage among the following has maximum contribution in sleep time of an adult?
1. REM
2. NREM 1
3. NREM 2
4. NREM 3

Correct answer: 3. NREM 2

Explanation: In adults, the largest amount of sleep time is spent in stage 2 NREM sleep about 60 %; REM phases constitute 20-25% of total sleep time Stages 3 and 4 NREM about 15-20%, Stage 1 non-REM about 5%.